Finding the most cost effcetive way doing a project -
1. Network analysis
2. System analysis
3. Cost analysis
4. Field analaysis

Correct answer: 2. System analysis

Explanation: The purpose of system analysis is to help the decision maker to choose an appropriate course action by investigating his problem,searching out objectives,finding out alternative solution,evaluation of the alternatives in terms of cost effectiveness,re-examination of the objectives if necessary and finding the most cost effective alternative (refer pgno:872 park 23 rd edition)